If a patient gets an attack of vertigo by loud noise, he is having
1. Tullio phenomenon
2. Dysplacusis
3. Hyperacusis
4. Paracusis

Correct answer: 1. Tullio phenomenon

Explanation: Tullio phenomenon - A condition in which loud sound produces vertigo. It can occur in syphilis. (Ref: Diseases of EAR, NOSE AND THROAT by PL DHINGRA - 6th Edition)